A 68-year-old man presents for repair of an abdominal aortic aneurysm. Severe complicated atherosclerosis is noted at surgery, prompting concern for embolism of atheromatous material to the kidneys and other organs. If the patient were to develop a renal cortical infarct as a result of surgery, which of the following would be the most likely outcome?
1. Chronic inflammation
2. Granulomatous inflammation
3. Hemangioma formation
4. Scar formation

Correct answer: 4. Scar formation

Explanation: A large infarct of the kidney will heal by fibrosis (scar formation). The regenerative capacity of renal tissue is maximal in cortical tubules, less in medullary tubules, and nonexistent in glomeruli. -Chronic inflammation (choice A) precedes scar formation. -Granulomatous inflammation (choice B) is not a complication of renal cortical infarction. -Hemangiomas (choice C) are common benign tumors of endothelial cells that usually occur in the skin.